Bruxism is ?
1. Walking during sleep
2. Nocturnal enuresis
3. Grinding of teeth during sleep
4. Sleep apnoea

Correct answer: 3. Grinding of teeth during sleep

Explanation: Ans. C. Grinding of teeth during sleep